HPV-related cervical intraepithelial neoplasia can be diagnosed by the presence of which of the following histologic features?
1. Central, basophilic intranuclear cellular inclusions
2. Cowdry type A intranuclear cellular inclusions
3. Enlarged multinucleated cells
4. Cytoplasmic vacuolization and nuclear enlargement of cells

Correct answer: 4. Cytoplasmic vacuolization and nuclear enlargement of cells

Explanation: HPV produces characteristic cytoplasmic vacuolization and nuclear enlargement of squamous epithelial cells referred to as koilocytosis. Both Cowdry type A intranuclear inclusions and enlarged multinucleated cells can be seen with herpes simplex virus (HSV) and varicella-zoster virus (VZV) infections; central, basophilic intranuclear inclusion bodies are seen in CMV infections, whereas the presence of atypical lymphocytes is seen specifically in Epstein-Barr virus (EBV) infections.